All are true about cystic hygroma except
1. Pulsatile
2. May cause respiratory obstruction
3. Common in neck
4. present in birth

Correct answer: 1. Pulsatile

Explanation: Cystic hygroma is not pulsating .So option 1 is incorrect. Cystic hygroma is sequestration of lymphatic tissue. Cyst filled with clear lymph and lined by single layer of epithelium. Mostly found in the neck. It can obstruct labour, and can also cause respiratory difficulty. Swelling is brilliantly transluminant. Management: Injection of sclerosant and excision of Cyst. Reference: Bailey and love 27th edition, page no. 754.